Which of the following is the contraindication for trial of normal labour after caesarean section?
1. History of previous classical CS
2. History of previous CS due to CPD
3. No history of prior vaginal delivery
4. History of previous CS due to malpresentation

Correct answer: 1. History of previous classical CS

Explanation: Prior classical or T-shaped uterine incisions are considered contraindications to labor. The highest risks of uterine rupture are present with prior vertical incisions extending into the fundus such as the classical incision. Women with a transverse scar confined to the lower uterine segment have the lowest risk of symptomatic scar separation during a subsequent pregnancy. Some Factors for Consideration in Selection of Candidates for Vaginal Birth after Cesarean Delivery (VBAC): One previous prior low-transverse cesarean delivery Clinically adequate pelvis No other uterine scars or previous rupture Physician immediately available throughout active labor capable of monitoring labor and performing an emergency cesarean delivery Availability of anesthesia and personnel for emergency cesarean delivery Ref: Cunningham F.G., Leveno K.J., Bloom S.L., Hauth J.C., Rouse D.J., Spong C.Y. (2010). Chapter 26. Prior Cesarean Delivery. In F.G. Cunningham, K.J. Leveno, S.L. Bloom, J.C. Hauth, D.J. Rouse, C.Y. Spong (Eds), Williams Obstetrics, 23e.